Internal podalic version(IPV) is indicated in:
1. Face presentation
2. advanced labour in Brow presentation & convert to face
3. Breech presentation
4. Transverse lie in second of twins

Correct answer: 4. Transverse lie in second of twins

Explanation: Internal podalic version(IPV) is not done in transverse lie in singleton pregnancy due to risk of uterine rupture It can be done in transverse lie of 2nd baby in twin pregnancy as uterus will be relaxed for some time after delivery of first twin and chances of rupture are reduced.